Drug/s causing SIADH include -
1. Chlorpropamide
2. Oxytocin
3. Cyclophosphamide
4. All of the above

Correct answer: 4. All of the above

Explanation: Ans. is 'd' i.e., All of the above Drugs causing syndrome of inappropriate ADH (SIADH)* Vasopressin or desmopressin* Chlorpropamide* Oxytocin, high dose* Vincristine or vinblastine* Carbamazepine* Nicotine* Phenothiazines* Cyclophosphamide* Tricyclic antidepressants* Monoamine oxidase inhibitors* Serotonin reuptake inhibitors